A person has poor performance in front of his seniors in public place, has tachycardia when he has to deliver a lecture, avoids going to parties. The diagnosis is -
1. Panic disorder
2. Schizophrenia
3. Social phobia
4. Avoidant personality

Correct answer: 3. Social phobia